Which of the following is a selective estrogen receptor modulator (SERM)?
1. Danazol
2. Mifepristone
3. Raloxifene
4. Dantrolene

Correct answer: 3. Raloxifene

Explanation: SELECTIVE ESTROGEN RECEPTOR MODULATORS (SERMs) These are the agents that act as estrogen agonists in some tissues and antagonists in other tissues. Agonistic action is beneficial in tissues like bone (decreased resorption) and blood (better lipid profile) whereas it is deleterious in endometrium, breast (increased risk of carcinoma) and liver (predisposition to thromboembolism). SERM USE SPECIAL POINT Raloxifene Osteoporosis Additional beneficial effect on breast and endometrial carcinoma Bazedoxifene Osteoporosis Tamoxifen Breast cancer Increase risk of endometrial carcinoma Doloxifen Breast cancer Increase risk of endometrial carcinoma Toremifen Breast cancer Increase risk of endometrial carcinoma Ospemifene Dysparenuia Clomiphene Anovulatory infertility Can cause multiple pregnancy Ormeloxifene Oral contraceptive DUB Other name is centchroman